All right sided events tend to increase with inspiration except:
1. Pulmonary ejection click
2. Tricuspid stenosis
3. Tricuspid regurgitation
4. Pulmonic regurgitation

Correct answer: 1. Pulmonary ejection click

Explanation: All right sided events increase with inspiration except pulmonic ejection click of pulmonic stenosis Left sided events reduce with inspiration. Normal person -On deep inspiration -More negative pressure is created -More blood is sucked into right side of heart-Louder murmurs. Pulmonary stenosis- Hypertrophy of RV-On inspiration-Thickened RV does not distend normally, Pressure rises and pulmonary valve is partially opened-When RV contracts-Ejection click is softer